40 years old female with a 2 cms nodule in the breast & a proved metastatic node in the axilla, treatment is?
1. Quadrantectomy
2. Mastectomy with local radiotherapy
3. Patey's with adjuvant chemotherapy
4. Halstedt's operation with tamoxifenFibroadenosis

Correct answer: 3. Patey's with adjuvant chemotherapy

Explanation: Ans. is 'c' i.e. Patey's with adjuvant chemotherapy